Which of the following is an irreversible inhibitor of COX enzyme
1. Aspirin
2. Phenylbutazone
3. Indomethacin
4. Piroxicam

Correct answer: 1. Aspirin